Alkaline phosphatase is elevated in all, EXCEPT:
1. Rickets
2. Osteomalacia
3. Hypoparathyroidism
4. Hypophosphatemia

Correct answer: 3. Hypoparathyroidism

Explanation: Answer is C (Hypoparathyroidism) : Raised alkaline phosphatase levels are associated with hyperparathyroidism and not with hypoparathyroidi.sm. Serum alkaline phosphatase levels may be raised in hyperparathyroidism depending upon degree of involvement of bone. Q